Cholestasis with portal inflammation is typically seen with drug:
1. Halothane
2. Chlorpromazine
3. Oral contraceptive pills
4. Methyldopa

Correct answer: 2. Chlorpromazine

Explanation: Chlorpromazine typically produces portal inflammation and cholestasis Ref: Harrison's Principles of Internal Medicine, 18th Edition, Page 2560, Table - 305-1.